The enzyme deficient in Lesch-Nyhan syndrome is
1. Transcarboxylase
2. HGPRT
3. GTRT
4. Glutaminase

Correct answer: 2. HGPRT

Explanation: DISEASE DEFICIENT ENZYME 1. Acute intermittent porphyria Uroporphyinogen -I synthetase 2. Albinism Tyosinase 3. Alkaptonuria Homogentisic acid oxidase 4. APRT ase deficiency APRTase 5. Cystic fibrosis CFTR gene mutations 6. Fructose intolerance Fructose-1-P-aldolase 7. Galactosemia galactose -1-- phosphate uridyl transferase 8. Gaucher's disease Beta glucosidase 9. GPD deficiency G6PD 10. Gout Increased uric acid pool 11. Isovaleric aciduria Isovaleryl CoA dehydrogenase 12. Lactic acidosis, PD deficiency Pyruvate dehydrogenase 13. Lactose intolerance Lactase 14. LESCH- NYHAN SYNDROME HGPRTase 15. Orotic aciduria Orotidine-5-P decaroxylase 16. Niemann-Pick disease Sphingomyelinase 17. Tays Sachs disease Hexosamindase A 18. von Gierke's disease Glucose-6-phosphate 19. Wilson's disease Copper transport protein REF : DM VASUDEVAN TEXTBOOK ;7th EDITION , Page no :430